Anticoagulant used for chelating calcium -
1. E DTA
2. Oxalate
3. Sodium citrate
4. All of the above

Correct answer: 4. All of the above

Explanation: Answer-D. All of the aboveMost of the anticoagulants used in the laboratory act by binding calcium as an insoluble salt or soluble but un-ionized salt.Thesecalciumchelatinganticoagulantsare :-EDTADouble oxalateSodium citrateSodiumJluoride